How many of the following 5 criteria are required for the diagnosis of metabolic syndrome associated with polycystic ovaries? Diagnostic Criteria: Female waist >35 inches Triglycerides >150 mg/dL HDL <50 mg/dL Blood pressure >130/85 mm Hg Fasting glucose: 110-126 mg/dL/Two-hour glucose (75 gm OGTT): 140-199 mg/dL
1. 2 out of 5
2. 3 out of 5
3. All five
4. Any one of these is enough for diagnosis

Correct answer: 2. 3 out of 5

Explanation: Metabolic syndrome diagnostic criteria: Atleast 3 or more are required for diagnosis after which an insulin sensitiser may be required Fasting glucose 110 - 126 mg/dL/Two - hour glucose (75 gm OGTT) 140 - 199 mg/dL Blood pressure >130 /85 mmHg HDL < 50 mg/dL Triglycerides > 150 mg/dL Female waist > 35 inches